Duga's test is helpful in
1. Dislocation of hip
2. Scaphoid fracture
3. Fracture neck of femur
4. Anterior dislocation of shoulder

Correct answer: 4. Anterior dislocation of shoulder

Explanation: Di.e. Anterior Dislocation of shoulder Anterior Dislocation of ShoulderShoulder is the commonest joint to undergo recurrent & /or nonrecurrent (traumatic) dislocationQ.Anterior dislocation is the commonest type of shoulder dislocationQ accounting for - 97% of cases.